Features of occipital lobe of brain are all except:
1. Visual cortex lies in relation to calcarine fissure
2. Brodmann's area 17 corresponds to visual cortex
3. Geniculocalcarine fibres from the medial half of the lateral geniculate terminate on the superior lip of the calcarine fissure
4. Its the only area in the brain activated by visual stimuli

Correct answer: 4. Its the only area in the brain activated by visual stimuli

Explanation: Ans. D: Its the only area in the brain activated by visual stimuli